Recurrent Neisseria infections are not predisposed by-
1. Early complement component deficiency
2. Late complement component deficiency
3. Factor D deficiency
4. Properdin deficiency

Correct answer: 1. Early complement component deficiency

Explanation: Option 1, 2, 3, 4 Inherited or acquired deficiency of C5-8 (late components) components greatly enhances susceptibility to Neisseria bacteremia and other infections. Deficiency of C3 leads to severe recurrent pyogenic sinusitis and respiratory infections. Deficiency of Properdin and factor D (Alternative pathway Deficiency) lead to Neisserial infection and pyogenic infections. Early complement component (C1, C2, C3, C4) deficiency: SLE, glomerulonephritis and pyogenic infections.